All of the following arteries are branches of the splenic artery, EXCEPT:
1. Right gastric artery
2. Short gastric artery
3. Pancreatic branches
4. Left gastroepiploic artery

Correct answer: 1. Right gastric artery

Explanation: Right gastric artery is a branch of hepatic artery not splenic artery. Branches of splenic artery are short gastric artery, pancreatic branches and left gastroepiploic artery. Branches of the hepatic artery are:Right gastric arteryGastroduodenal artery gives rise to right gastroepiploic artery and superior pancreaticoduodenal artery.Right and left hepatic arteriesRef: Clinical Anatomy by Regions By Richard S. Snell page 243.